In maturity onset diabetes mellitus, ophthalmoscopy should be done at –
1. Immediately
2. After 5 years
3. After 10 years
4. After 15 years

Correct answer: 1. Immediately